Which of the following is the best management for radiation induced occlusive disease of carotid artery?
1. Low dose aspirin
2. Carotid angioplasty and stenting
3. Carotid endarterectomy
4. Carotid bypass procedure

Correct answer: 2. Carotid angioplasty and stenting

Explanation: Radiation will cause obliterative endarteritis in small vessels and in larger vessels.It causes stenosis. In Radiation induced stenosis or occlusive disease, the preferred form of treatment is minimal invasive intervention: CAROTID ANGIOPLAST AND STENTING. Low dose Aspirin is not helpful Carotid bypass procedure is highly morbid procedure and Carotid endarterectomy is not usually performed